Brain death criteria include all except
1. Absent corneal reflex
2. Absent deep tendon reflexes
3. Apnea test
4. Absent oculocelphalic reflex

Correct answer: 2. Absent deep tendon reflexes

Explanation: (B) Absent deep tendon reflexes # BRAIN DEATH is present when there is irreversible loss of all brain function, both brain-stem function and cortical (hemisphere) function.> Brain death criteria -- Loss of brainstem function & Absent cranial nerve reflexes - Pupillary light reflex; Corneal reflex; Oculo vestibular reflex (cold caloric test; No gag reflex)> Absent respiratory brain stem reflexes is done by Apnea test: Loss of cortical function (No spontaneous movement; no response to external stimuli); Irreversibility.> The absence of deep tendon reflexes is not required because the spinal cord may remain functional.> The pulse rate is also invariant and unresponsive to atropine.